WHO recommend evaluation of child vaccination in age group?
1. 0-12m
2. 6-12 m
3. 12-23 m
4. 9-12 m

Correct answer: 3. 12-23 m

Explanation: .in case of mass immunisation programmes implemented by WHO ,including the immunisation programmes ,evaluation of the aaccessibility of such programmes to the populations is usually done among children of age 12 to 23 months. ref:park's textbook,22 nd ed,pg 189